What is true about volume control ventilation:
1. Lung inflated at constant flow rate
2. Peak alveolar pressure equal to plateau pressure
3. There is decelerating flow rate
4. Plateau pressure fixed

Correct answer: 1. Lung inflated at constant flow rate

Explanation: With volume control ventilation, the inflation volume is preselected, and the lung are inflated at a constant flow rate until desired volume is delivered.